Cluster testing is useful in detecting cases of
1. Measles
2. Unimmunized children
3. Sexually transmitted infections
4. Completely immunized children in the age group 12-23 months

Correct answer: 3. Sexually transmitted infections